Niacin must be used in diabetics cautiously because
1. It causes hypoglycemia
2. It impairs Insulin sensitivity
3. Increases metabolism of oral hypoglycemic agents
4. It increases skin thickness

Correct answer: 2. It impairs Insulin sensitivity

Explanation: Niacin can result in Insulin resistance and lead to hyperglycemia. Hence, it must be used cautiously in Diabetics.